Schizophrenia can be treated with all of the following except -
1. Pemoline
2. Olanzapine
3. Sulpiride
4. Chlorpromazine

Correct answer: 1. Pemoline